A person was found dead with bluish green frothy discharge at the angle of mouth and nostrils. Probable cause can be:
1. Arsenic poisoning
2. Copper poisoning
3. Mercury poisoning
4. Lead poisoning

Correct answer: 2. Copper poisoning

Explanation: Ans. Copper poisoning